The origin of ovaries from
1. Genital ridge
2. Genital tubercle
3. Wolffian duct
4. Miillerian duct

Correct answer: 1. Genital ridge